Chronic Laxative abusage can result in the formation of which type of stone:
1. Xanthine
2. Cysteine
3. Ammonium urate
4. Struvite

Correct answer: 3. Ammonium urate

Explanation: Ans. (c) Ammonium urateRef NCBI pubmed, Bailey and Love 27th Edition, Page 1406Types of stones and interesting etiologies:* Primary hyperparathyroidism: Calcium oxalate stones* Renal tubular acidosis: Pure calcium phosphate stones* Cystinuria (Autosomal Recessive): Cystine stones* Ileostomies: Uric acid stone* IBD: Uric acid stone* Crohn's disease, short bowel syndromes: Calcium oxalate stones* Dietary excess of Rhubarb, spinach, tea, cocoa, chocolate and pepper: Calcium oxalate stone* Infection: Calcium magnesium ammonium phosphate stone (struvite stones)* Thiazide diuretics: Uric acid stone* Allopurinol: Xanthine stone* Laxative abusage: Ammonium urate stone